Which toxin of streptococcus causes hemolysis -a) Streptolysin Ob) Streptolysin Sc) Streptodornase d) Hyaluronidase
1. ac
2. a
3. ad
4. ab

Correct answer: 4. ab